Polymenorrhoea Means
1. Menses < 21 days
2. Menses >35 days
3. Painful menses
4. DUB

Correct answer: 1. Menses < 21 days

Explanation: Polymenorrhoea means regular and shortened cycles Reference: Shaw's textbook of gynaecology; 16th edition; Page no 293